Muscle of third arch is
1. Tensor tympani
2. Stylopharyngeus
3. Cricothyroid
4. None

Correct answer: 2. Stylopharyngeus

Explanation: HUMAN EMBRYOLOGY-INDERBIR SINGH TENTH EDITION-PAGE NO:132